Diagnostic criteria of pure red cell aplasia (PRCA) includes all of the following, except:
1. Severe anemia
2. Reticulocyte count < 1%
3. Normocellular marrow
4. Thrombocytopenia

Correct answer: 4. Thrombocytopenia

Explanation: Pure red cell aplasia: Selective depletion of erythroid precursors in bone marrow with consequent severe normocytic normochromic anemia & reticulocytopenia. Diagnostic criteria for pure red cell aplasia are: Giant normoblasts in bone marrow Severe anemia Reticulocyte count < 1% Normocellular marrow with mature erythroblasts <0.5%.